All of the following features can differentiate between ventricular tachycardia and supraventricular tachycardia except-
1. QRs < 0.14 seconds
2. Ventricular rate >160/min
3. Variable first heart sound
4. Relieved by carotid sinus massage

Correct answer: 2. Ventricular rate >160/min

Explanation: In SVT, AV-node drugs would work in normalizing the dysrhythmias. However, in VT, it won't work as it would worsen the condition of the patient. SVT relieved by carotid sinus massage VT has variying PR intervals so variying first heart sound In VT, Brugada sign, Josephson's sign, etc. are evident while SVT, narrow QRS complexes < 140 msec , a PR interval of less than 120 ms, etc. can be seen on the screen. Ref Harrison 20th edition pg 1556